H-reflex is done in
1. L 2 radiculopathy
2. L 3 radiculopaty
3. L 4 radiculopaty
4. S 1 radiculopty

Correct answer: 4. S 1 radiculopty

Explanation: The H-reflex is a reflectory reaction of muscles after electrical stimulation of sensory fibers in their innervating nerves. The H-reflex test is performed using an electric stimulator, which gives usually a square-wave current of short duration and small amplitude, and an EMG set, to record the muscle response. Ref Harrison20th edition pg 2567